Nerve to pterygoid canal is formed from:
1. Deep petrosal nerve joined by greater petrosal nerve
2. Facial nerve
3. Lesser superficial petrosal nerve
4. Lesser petrosal nerve

Correct answer: 1. Deep petrosal nerve joined by greater petrosal nerve

Explanation: Vidian nerve of pterygoid canal is formed by the union of greater petrosal nerve (parasympathetic fibers) and deep petrosal nerve (sympathetic fibers). The nerve is formed at the floor of foramen lacerum and runs anteriorly in pterygoid canal to reach the pterygopalatine ganglion.